Sturge Weber's syndrome is not associated with ?
1. Seizures
2. Hemiatrophy of cerebral cortex
3. Gyriform calcification in brain
4. Empty sella

Correct answer: 4. Empty sella

Explanation: Ans. is 'd' i.e., Empty Sella Sturge-weber's syndrome Sturge-weber's syndrome results from anomalous development of the primordial vascular bed in the early stages of cerebral vascularization. o At this stage, the blood supply to the brain, meninges, and face is undergoing reorgnization, while the primitive ectoderm in the region differentiates into the skin of the upper face and the occipital lobe of the cerebrum. o The overlying leptomeninges are richly vascularized and the brain beneath becomes atrophic and calcified, particularly in the molecular layer of the cortex. o There is intracranial calcification in the occipitoparietal region --> Serpentine or rail road track appearance. o There is unilateral cortical atrophy and ipsilateral dilatation of the lateral ventricle.